Toxin involved in the streptococcal toxic shock syndrome is -a) Pyrogenic toxinb) Erythrogenic toxinc) Hemolysind) Neurotoxin
1. ac
2. a
3. ab
4. bc

Correct answer: 3. ab